Which of the following drugs is not used for the treatment of hyperkalemia?
1. Salbutamol
2. Calcium gluconate
3. Sodium bicarbonate
4. Magnesium sulphate

Correct answer: 4. Magnesium sulphate

Explanation: drugs used for hyperkalemia- IV calcium gluconate, calcium chloride, insulin, sodium bicarbonate, albuterol, thiazide diuretics, loop diuretics New drug patiromer was recently approved for the treatment of hyperkalemia ESSENTIALS of medical PHARMACOLOGY SIXTH EDITION -KD TRIPATHI Page:323